Tadpole cells are seen in?
1. Rhabdomyosarcoma
2. Leiomyosarcoma
3. Chondrosarcoma
4. Lupus vulgaris

Correct answer: 1. Rhabdomyosarcoma

Explanation: Ans is 'a' i.e. Rhabdomyosarcoma Tadpole cells (Strap cells!o Elongated and club shaped with a broad end that tapers to a narrow end and have an eccentric, rounded hyperchromatic nucleus or nuclei within often keratinized cytoplasm. They are seen inA. RhabdomyosarcomaB. Carcinoma cervixC. Multiple myeloma (rarely)